Minimum dose of tetracycline which causes discoloration of teeth:
1. 10mg/kg Body weight.
2. 20mg/kg Body weight.
3. 30mg/kg Body weight.
4. 40mg/kg Body weight.

Correct answer: 2. 20mg/kg Body weight.